What complication should one expect when PCNL is done through 11th intercostals space?
1. Hydrothorax
2. Hematuria
3. Damage to colon
4. Ramnants fragments

Correct answer: 1. Hydrothorax

Explanation: Percutaneous nephrolitotomy (PCNL) is the procedure done for renal calculi. When the procedure is done through the 11th intercostal space there is a chance of developing pneumothorax or hydrothorax in patients. Ref: Smith's Textbook of Endourology By Glenn Preminger, Gopal Badlani, Louis Kavouss, 3rd Edition, Page 132